Virchow’s triad includes all except
1. Injury to vein
2. Venous thrombosis
3. Venous stasis
4. Hypercoagulability of blood

Correct answer: 2. Venous thrombosis

Explanation: The factors that predispose to venous thrombosis were initially described by Virchow in 1856 and are known as Virchow’s triad.
These include

Stasis
Vascular damage
Hypercoagulability